C-carbohydrate in Streptococcus hemolyticus is important for-
1. Lancefield classification
2. Phagocytic inhibition
3. Toxin production
4. Haemolysis

Correct answer: 1. Lancefield classification

Explanation: Option 1- Hemolytic streptococci are classified by Lancefield serological classification into groups based on nature of 'C' Option 2 - C-Carbohydrate antigen doesn't have any anti-phagocytic role. Option 3- C-Carbohydrate antigen doesn't have any correlation with toxin production. Option 4- On the basis of hemolysis, streptococci can be divided into 3 groups:- a Hemolytic, b Hemolytic, g Hemolytic